Related to calcium metabolism, which of the following does not occur during pregnancy
1. Total serum calcium levels fall.
2. 80% of fetal calcium deposition occurs in third trimester.
3. Fetal skeleton excretes approximately 30g of calcium by term.
4. Serum ionized calcium levels fall.

Correct answer: 4. Serum ionized calcium levels fall.

Explanation: Serum ionized calcium levels remain unchanged in pregnancy.